The type of distribution, if mean 209, median 196, and mode 135-
1. Standard curve
2. Positively skewed
3. Negatively skewed
4. J-shaped

Correct answer: 2. Positively skewed

Explanation: Ans. is 'b' i.e., Positively skewedo In question, mean > median > mode - Feature of positively skewed deviation.Skewed distribution (deviation)o Skewed distribution means data is assymmetrically distributed around the mean with either large number of low values & less high values, or large number of high values & less number of low values,o So, the distribution curve has a tail towards the values which are in lower number.o Depending upon the values (high or low) skewed distribution can be divided into two types -Negative skewed (left handed) distributionLarge number of high values (right sided values) with less no. of low values (left sided values).So, the tail is on left side.Called negative skewed because tail is in negative direction (left side).Mode > median > meanPositive skewed (right handed) distributionLarge number of low values (left sided values) with few high values (right sided values).So, the tail is on right side.Called positived skewed because tail is in positive direction (right side).Mean > median > modeo In this question median (140 mm Hg) is greater than the mean (130 mm of Hg) - negatively skewed (left handed) dispersion.Normal distributionPositively skewed (rt. Handed) distributionNegatively skewed (left handed) deviationy No taily Bell shaped curve : Gaussian distributiony Mean = Median = Modey Tail is towards right sidey Large no of low scores, small no of high scoresy Mean > Median > Modey Tail is towards left sidey Large no of high scores, small no of low scoresy Mode > Median > Meano Sidedness of the skewed distribution is towards the side of tail. For example right sided skewed deviation means the tail is towards the right.o Facts to remember the relation between mean, media & mode (see above figure) :-Mean is right of the median under right skew, and left of the median under left skew.Mode is left of the median under right skew, and right of the median under left skew.